All the following anti-tubercular drugs are hepatotoxic except
1. Rifampicin
2. INH
3. Ethambutol
4. Pyrazinamide

Correct answer: 3. Ethambutol

Explanation: Ans. c (Ethambutol). (Ref. Harrison's Medicine - 18th/Table 168-3; KD Tripathi 5th/- 703)# Hepatotoxic AKT drugs- INH- Rifampicin- Pyrazinamide (most toxic)# Nephrotoxic AKT drug- Streptomycin# Neurotoxic drugs- Cyclosporin- INH# Drug Contraindicated in AIDS- ThiacetazoneOptic neuritis, the most serious adverse effect of ethambutol.